Corn picker's pupil seen in which plant poisoning
1. Datura
2. Canabis
3. Odollum
4. Cocaine

Correct answer: 1. Datura

Explanation: signs and symptoms They are described as Moon and according to him, the person will be, Dry as a bone. Hot as a hare Blind as a bat Red as a beet on ingestion, will cause bitter taste in the mouth and dryness with difficulty in talking. The voice becomes hoarse. There may be dysphagia, burning pain in the stomach and vomiting. Pupils will be dilated with loss of accommodation for near vision (corn picker's pupil) . There may be photophobia, diplopia and temporary blindness. There may be numbness and paralysis of limbs and difficulty in micturition. Pulse will be rapid, full and bounding and later becomes weak and irregular. Ref: FORENSIC MEDICINE AND TOXICOLOGY Dr PC IGNATIUS THIRD EDITION PAGE 477